Hormone synthesized as peptide precursor is/are:
1. Insulin
2. PTH
3. Renin
4. All

Correct answer: 4. All

Explanation: All - A, B, C,- Sterod hormones are synthesized from cholesterolQ and example includes adrenocortical hormones (i.e. cortisol & aldosteroneQ), sex hormones (i.e. testosterone, estrogen & progesterone)Q and vitamin D3 = 1, 25- (OH)2 cholecalciferol (a secosteroid because one of the rings of steroid nucleus , the B ring, is open)- Amine hormones are derived from aminoacid tyrosine and examples include catecholamines (adrenaline/epinephrine and noradrenaline/nor epinephrine)Q from adrenal medulla, thyroid hormones (triiodothyronine = T3, tetraiodothyronine = T4 = thyroxine)Q and prolactin inhibiting factor /PIF (dopamine) from hypothalamus.- All remaining hormones are either low molecular weight proteins (i.e. poly peptides) or glycoproteins. They are synthesized initially as larger peptide precursorQ (eg prepro-insulin) and then cleaved off until the final smaller active molecule is produced. Some are also coupled with carbohydrates to form glycoproteins.A, B, C,